Progestogens are used for all of the following except :
1. Anovulatory cycles
2. Puberty menorrhagia
3. Endometrial carcinoma
4. Inhibition of lactation

Correct answer: 4. Inhibition of lactation

Explanation: Inhibition of lactation